The cells which lie outside blood testis barrier:
1. Sertoli cells
2. Spermatocyte
3. Spermatid
4. Leydig cells

Correct answer: 4. Leydig cells

Explanation: Ans. is d, i.e. Leydig cellsBlood testis barrier is formed by Sertoli cells which keeps the growing germ cells (its all stages) separated from blood.